Distal and collecting duct cysts are seen in?
1. ADPKD
2. ARPKD
3. Tuberous sclerosis
4. Nephronophthisis

Correct answer: 2. ARPKD

Explanation: ADPKD: cysts are in cortex & medulla (Hepatic cyst manifestation) ARPKD: Distal & Collecting duct cyst (Hepatic fibrosis) MC age- <1yr Protein affected- Fibrocystin(Chr. 6) Presentation- B\L Abdominal mass Hypolasia of lungs Periportal fibrosis